Measurement of output in terms of results achieved is:-
1. Cost benefit analysis
2. Cost effectiveness analysis
3. Systems analysis
4. Network analysis

Correct answer: 2. Cost effectiveness analysis

Explanation: Cost effective analysis: A management technique where benefits are expressed in terms of results achieved, e.g., number of lives saved or number of days free from disease; It is a more promising tool than cost benefit analysis in the health field. Most comprehensive indicator of CEA: Quality adjusted life years (QALYs) gained. Quality adjusted life years (QALYs)- Number of years of life that would be added by intervention. Cost benefit analysis: Output of a programme is in monetary terms. Eg: RNTCP-2018 saved 40 M US $. System analysis: Comparision of 2/more cost effective alternatives in a health programme. Network analysis: Is the graphic plan of all events and activities to be completed in order to reach end objective. Two common types of network techniques are: PERT - Sequence of activities in a health programme to plan, schedule, monitor & furnish timely reports. Critical path: Total duration of activities which is longer.